Treatment for multiple sclerosis
1. Interferon alpha
2. Interferon beta
3. Infliximab
4. Interferon gamma

Correct answer: 2. Interferon beta

Explanation: Beta interferons. These medications are among the most commonly prescribed medications to treat MS. They are injected under the skin or into muscle and can reduce the frequency and severity of relapses Interferon alpha is used to treat various cancers (e.g., leukemia, melanoma, AIDS-related Kaposi's sarcoma). It is also used to treat virus infections Interferon-g 1b is approved by the U.S. Food and Drug Administration to treat chronic granulomatous disease and osteoporosis This medication is used to treat certain types of arthritis (rheumatoid arthritis, arthritis of the spine, psoriatic arthritis), certain bowel diseases (Crohn's disease, ulcerative colitis), and a certain severe skin disease (chronic plaque psoriasis). Ref Harrison20th edition pg 2345